Prophylactic maintenance level of lithium is
1. 0.6-0.8 mEq/L
2. 0.8-1.2 mEq/L
3. 2-4 mmol /L
4. 2-4 mEQ/L

Correct answer: 1. 0.6-0.8 mEq/L

Explanation: Just facts